Which of the following is TRUE about portal vein?
1. Formed by the superior mesenteric vein
2. Formed by the splenic vein
3. Situated deep to the hepatic artery and cystic duct
4. All of the above

Correct answer: 4. All of the above

Explanation: Portal vein collects blood from the foregut, midgut, and hindgut. The portal vein is located deep to the hepatic artery and cystic duct and is formed by the union of the superior mesenteric vein and splenic vein, deep to the neck of the pancreas. Blood from portal vein transported to the hepatic sinusoids of the liver for filtration and detoxification. The hepatic sinusoids empty into the common central vein, which empties into the hepatic veins and ultimately drains into the inferior vena cava. Ref: Morton D.A., Foreman K.B., Albertine K.H. (2011). Chapter 10. Midgut and Hindgut. In D.A. Morton, K.B. Foreman, K.H. Albertine (Eds), The Big Picture: Gross Anatomy.